Thiazide cause-
1. Metabolic alkalosis
2. Metabolic acidosis
3. Respiratory alkalosis
4. Respiratory acidosis

Correct answer: 1. Metabolic alkalosis

Explanation: Ans. is 'a' i.e., Metabolic alkalosiso By inhibiting salt reabsorption in TAL, loop diuretics increase deliver)' to the collecting duct. Increased delivery-leads to increased secretion of K- and H+ by the duct, causing hypokalemic metabolic alkalosis. This toxicity is the function of the magnitude of the dieresis and can be reversed by K+ replacement and correction of hypovolemia,o Carbonic anhydrase inhibitors decrease the excretion of H+ and increase the excretion of HC03-in the urine. This results in metabolic acidosis and urinary' alkalosis.Urinary Electrolytes GroupNaCINaHCO3K+Body pHCarbonic Anhydrase Inhibitors+++++-Loop agents++++0++Thiazides+++++Loop agents plus Thiazides+++++++++K+ - sparing agents+(+)--